The parvocellular pathway from lateral geniculate nucleus to visual cortex is most sensitive for the stimulus of
1. Color contrast
2. Luminance contrast
3. Temporal frequency
4. Saccadic eye movements

Correct answer: 1. Color contrast

Explanation: The parvocellular pathway, from the lateral geniculate nucleus (Layers 3-6) to the visual cortex, carries signals for the detection of colour vision, texture, shape and fine details.